All of the following are associated with carcinoma colon except ?
1. Smoking
2. Alcohol
3. Fibre diet
4. Fatty food

Correct answer: 3. Fibre diet

Explanation: Ans. is 'c' i.e., Fibre diet Fibre diet is protective against colon cancer (see previous explanations). Risk factors for Colon cancer Dietay factores - explainaed in previous quetion Hereditary factors Polyposis coli Nonopolyposis herditary colon cancer ( also known as Lynch syndrome) Inflammatory bowel disease Long standing IBD increases the risk Risk is more with ulcerative colitis than crohn's disese. Risk increases with the duration and extent of colitis. Left sided colitis carries somewhat less risk. Streptococcus bovis bacteremia Individuals who develop endocarditis or septicemia from this bacteria, have a high incidence of occult colorectal tumors and passibly upper GI cancers also. Other Risk factors Ureterosigmoidostomy Cigarette smoking - is linked to the development of colorectal adenomas , particularly after >35 yrs of use. Acromegaly Pelvic irradiation Aspirin & other NSAIDs use has been foud to have a protective effect (Chemopervention) Other substance found to have chemoprentive action are - Oral folic acid supplementation, Oral calcium supplementation, Estrogen replacement therapy